Drug which can act as antagonis of Haloperidole ?
1. Ropinirole
2. Clozapine
3. Imipramine
4. Pimozide

Correct answer: 1. Ropinirole

Explanation: Ans. is'a'i.e., Ropinirole Haloperidol is an antipsychotic, acts by > D2 receptor blockage.Ropinirole is an antiparkinsonian drug, acts by > D2 receptor agonist.